Which of the following is associated with poor prognosis in Ewings sarcoma?
1. B2 microglobulin
2. Fever
3. Thrombocytosis
4. Young age

Correct answer: 2. Fever

Explanation: IMAGE SHOWS PROGNOSTIC FACTORS OF EWINGS SARCOMA REF : MAHESWARI 9TH ED